True about choledochal cyst is -
1. Always extrahepatic T/t
2. T/t is cystojejunostomy
3. Excision is ideal t/t
4. Drainage is t/t of choice

Correct answer: 3. Excision is ideal t/t